Embolism of posterior cerebral artery leads to memory' impairment because of damage to
1. Hippocampal gyrus
2. Angular gyrus
3. Premarginal area
4. Superior temporal gyrus

Correct answer: 1. Hippocampal gyrus

Explanation: (A) Hippocampal gyrus # Occlusion of the distal PCA causes> Infarction of the medial temporal and occipital lobes.> Contralateral Homonymous hemianopia with macula sparing is the usual manifestation.> Occasionally, only the upper quadrant of visual field is involved.> If the visual association areas are spared and only the calcarine cortex is involved, the patient may be aware of visual defects.> Medial Temporal lobe and hippocampal involvement maycause an acute disturbance> In memory, particularly if it occurs in the dominant hemisphere.